Warm Antibody hemoltyic anemia is seen with:
1. Methyldopa
2. Quinine
3. Pencillin
4. Aminophyllline

Correct answer: 1. Methyldopa

Explanation: Methyldopa